ECT is indicated in
1. Neurotic Depression
2. Auditory hallucination
3. Schizophrenia
4. Delusional Depression

Correct answer: 4. Delusional Depression

Explanation: D i.e. Delusional Depression